True about Apoptosis include the following except:
1. Inflammation is present
2. Chromosomal breakage
3. Clumping of chromatin
4. Cell shrinkage

Correct answer: 1. Inflammation is present

Explanation: Ans. A. Inflammation is present. (Ref Kumar: Robbins and Cotran Pathologic Basis of Disease,8th /Ch 1)Apoptosis is a pathway of cell death that is induced by a tightly regulated suicide program in which cells destined to die activate enzymes that degrade the cells' own nuclear DNA and nuclear and cytoplasmic proteins. The dead cell and its fragments are rapidly devoured, before the contents have leaked out, and therefore cell death by this pathway does not elicit an inflammatory reaction in the host.APOPTOSIS (Programmed cell death; ATP required)# Intrinsic or extrinsic pathway; ^activation of cytosolic caspases that mediate cellular breakdown.# No significant inflammation (unlike necrosis).# Characterized by deeply eosinophilic cytoplasm, cell shrinkage, nuclear shrinkage (pyknosis) and basophilia, membrane blebbing, nuclear fragmentation (karyorrhexis), and formation of apoptotic bodies, which are then phagocytosed. DNA laddering is a sensitive indicator of apoptosis; during karyorrhexis, endonucleases cleave at internucleosomal regions, yielding 180-bp fragments.# Radiation causes apoptosis of tumors and surrounding tissue via free radical and dsDNA breakage.# Rapidly dividing cells (e.g., skin, GI mucosa) are very susceptible to radiation -induced apoptosis.